Which of the following should be monitored if linezolid is given for more than 14 days?
1. Liver function tests
2. Kidney function test
3. Platelet count
4. Audiometry

Correct answer: 3. Platelet count

Explanation: Because of the increase in multi-drug-resistant strains of gram-positive bacteria, the development of new and novel-acting antimicrobial agents is at the forefront of pharmaceutical research. Currently, the prevalence of methicillin-resistant staphylococci (MRSA) and vancomycin-resistant enterococci (VRE) is a major clinical problem. Linezolid (Zyvox(r)-Pfizer) is an antimicrobial agent of the oxazolidinone class that possesses a wide spectrum of activity against gram-positive organisms, including MRSA and VRE. Because of linezolid's novel mechanism of action, cross-resistance with other antimicrobial agents is not expected. Linezolid is therefore a viable option for certain types of infectious disease. Linezolid should not be used for empiric therapy, except under unusual circumstances, or to treat mild gram-positive infections where other antimicrobial agents would be effective. Thrombocytopenia has been reported in patients treated with linezolid. Platelet levels in most patients returned to normal during the follow-up period. The risk of thrombocytopenia appears to be related to duration of therapy. Platelet counts should be monitored at baseline and at least every 7 days during treatment.